Hepatitis A virus shedding in faeces is
1. One week before the symptoms appear
2. Two weeks after the symptoms appear
3. One week before the symptoms and one week thereafter
4. Two weeks before the symptoms and two week thereafter

Correct answer: 4. Two weeks before the symptoms and two week thereafter